A patient, resident of Himachal Pradesh presented with a series of ulcers in a row, on his right leg. The biopsy from the affected area was taken and cultured on Sabouraud's Dextrose agar. What would be the most likely causative organism
1. Sporothrix schenckii
2. Cladosporium species
3. Pseudoallescheria boydii
4. Nocardia brasilinsis

Correct answer: 1. Sporothrix schenckii

Explanation: Sporotrichosis is a chronic infection involving cutaneous, subcutaneous and lymphatic tissue. It is caused by Sporothrix schenckii. Pathogenesis: 1. Lesions on the exposed parts of the skin follow minor trauma. Nodules are first formed, followed by ulceration and necrosis of nodules. 2. From the lesions in skin and subcutaneous tissue, the infection can spread by lymphatic channels to lymph node and lymphatics are hardened and cord-like. Ref: Textbook of Microbiology, Ananthanarayan and Paniker; 9th edition